All are features of kwashiorkor EXCEPT:
1. Irritability
2. Edema in lower limb
3. Increase appetite
4. Apathy

Correct answer: 3. Increase appetite

Explanation: Ans. (c) Increase appetiteRef : K. Park 23rd ed. / 639-40Features of Kwashiorkor and MarasmusFeaturesMarasmusKwashiorkorMuscle wastingObviousHidden by fat and edemaEdemaNonePresent in lower legs and faceMental changesQuiet and apathicIrritable, Moaning and apathicWeightVery lowLow to NormalAppetiteGoodPoorHepatomegalyNonePresent, due to fat depositionHair changesSeldomSparse, silky'flag sign"